All of the following are used for graduation of coma is 'Glasgow coma scale' except
1. Eye opening
2. Motor response
3. Verbal response
4. Heart rate

Correct answer: 4. Heart rate

Explanation: The normal resting heart rate for adults over the age of 10 years, including older adults, is between 60 and 100 beats per minute (bpm). 
Highly trained athletes may have a resting heart rate below 60 bpm, sometimes reaching 40 bpm